During laryngoscopy and endo-tracheal intubation which of the maneuver is not performed:
1. Flexion of the neck
2. Extension of Head at the atlanto-occipital joint.
3. The laryngoscope is lifted upwards levering over the upper incisors.
4. In a straight blade laryngoscope, the epiglottis is lifted by the tip.

Correct answer: 3. The laryngoscope is lifted upwards levering over the upper incisors.

Explanation: Ans:C i.e. The laryngoscope is lifted upward levering over the upper incisiors. Procedure of Endotracheal Intubation: The correct position is with the lower part of the cervical spine flexed (by placing a pillow or other suitable pad under the patient's occiput), and the atlanto-occipital joint extended(by tilting the head back) - the so-called "sniffing position". This position aligns the axes of the mouth, pharynx and trachea, and will give the best visualization of the cords during laryngoscopy. In a Straight Blade Laryngoscope,lift the epiglottis with the tip of the blade.